Not a part of informed consent is:
1. All information should be given about treatment options
2. Concealed information
3. Any treatment option better than the treatment being provided should be told
4. All disclosure should be done in a language that the patient can understand

Correct answer: 2. Concealed information

Explanation: B i.e. Concealed information